All the following can cause DIC during pregnancy, except:
1. Diabetes mellitus
2. Amniotic fluid embolism
3. Intrauterine fetal death
4. Abruptio placentae

Correct answer: 1. Diabetes mellitus

Explanation: Obstetric Complications and Trigger Factors for DIC: Endothelial Injury Release of Thromboplastin Release of Phospholipids Preeclampsia, eclampsia, HELLP Hypovolemia Septicemia Septic abortion Chorioamnionitis Amniotic fluid embolism IUFD Abruptio placentae Intra-amniotic hypertonic saline Incompatible blood transfusion